Uterine artery is a branch of
1. External iliac artery
2. Superior vesical
3. Internal iliac artery
4. Aorta

Correct answer: 3. Internal iliac artery

Explanation: Ans C Ref: Williams Obstetrics page 26Vascular supply of uterus is derived principally from uterine artery which is amain branch of internal iliac artery. Sheila Balakrishnan (Ob-stetric) page 16Internal iliac artery is the feeding vessel of pelvis Anterior division:Parietal branches- ObturatorPosterior division-has only parietal branchesDiolumbar Inferior glutealInternal pudendalVisceral branches- Superior vesical Lateral Sacral Obliterated umbilicalInferior vesicalMiddle rectalUterine & vaginal Superior gluteal